Gestational diabetes mellitus (GDM) has been traditionally defined as any degree of glucose intolerance with onset or first recognition during pregnancy. Regarding diabetes in pregnancy all are true, EXCEPT:
1. Glucose challenge test is done between 24-28 week
2. 50 gm of sugar given as screening test
3. Insulin resistance improves with pregnancy
4. Diabetes control before conception is important to prevent malformation

Correct answer: 3. Insulin resistance improves with pregnancy

Explanation: The hallmark of gestational diabetes mellitus (GDM) is insulin resistance. Women with GDM exhibit more insulin resistance than normal patients, which is a function of their pre pregnancy metabolic state. Screening test consists of a 1-hour 50-g oral glucose challenge test (GCT), which is administered between 24 and 28 weeks of gestation. Diabetes control before conception is important to prevent malformation. Ref: Murphy A., Janzen C., Strehlow S.L., Greenspoon J.S., Palmer S.M. (2013). Chapter 31. Diabetes Mellitus & Pregnancy. In A.H. DeCherney, L. Nathan, N. Laufer, A.S. Roman (Eds), CURRENT Diagnosis & Treatment: Obstetrics & Gynecology, 11e.